Which disease is caused by anti - phospholipase 2 antibody:
1. MPGN
2. Membrabous glomerulopathy
3. FSGN
4. Minimal Change Disease

Correct answer: 2. Membrabous glomerulopathy

Explanation: Membranous glomerulopathy:- MC nephrotic syndrome in elderly patient. Subepithelial Immune complex deposition on IF Spike and dome appearance on EM Cause by Anti phospholipase 2 receptor Antibody FSGS:- MC nephrotic syndrome in adult No immune complex deposition, -ve Immunofluorescent Effacement of foot processon EM. Minimal Changes:- MC nephrotic syndrome is children No Immune complex deposition, -ve IF Effacement of foot process on EM. MPGN :- Nephrotic syndrome involving mesangial and increase proliferation of capillary loop. Train tract appearance on H/E due to thick glomerular basement membrane. Immune complex deposition (Granular IF)